Which of the following clinical manifestation is seen in severe copper sulphate poisoning?
1. Acute hemolysis
2. High anion gap acidosis
3. Peripheral neuropathy
4. Rhabdomyolysis

Correct answer: 1. Acute hemolysis

Explanation: Ingestion of copper sulfate or other salts causes the rapid onset of nausea and vomiting with characteristic blue-green vomit. Gastrointestinal bleeding may occur. Fluid and blood loss from gastroenteritis may lead to hypotension and oliguria. Intravascular hemolysis can result in acute tubular necrosis. Multisystem failure, shock, and death may occur. Ref: Buchwald A. (2012). Chapter 56. Copper. In K.R. Olson (Ed), Poisoning & Drug Overdose, 6e.